YAG laser is used in the treatment of:
1. Retinal detachment
2. Diabetic retinopathy
3. Open-angle glaucoma
4. After cataract

Correct answer: 4. After cataract

Explanation: Ans. After cataract